Which of the following is not supplied by the anterior division of mandibular nerve (V3) -
1. Temporalis
2. Masseter
3. Lateral pterygoid
4. Medial pterygoid

Correct answer: 4. Medial pterygoid

Explanation: All muscles of mastications are supplied by anterior division of mandibular nerve except medial pterygoid which is supplied by main trunk mandibular nerve.